Cori's cycle is a term used for which of the follwoing pathway?
1. Lactic acid cycle
2. Citric acid cycle
3. Pentose phosphate pathway
4. None of the above

Correct answer: 1. Lactic acid cycle

Explanation: Glucose is formed from two groups of compounds that undergo gluconeogenesis: (1) those which involve a direct net conversion to glucose, including most amino acids and propionate; and (2) those which are the products of the metabolism of glucose in tissues. Thus lactate, formed by glycolysis in skeletal muscle and erythrocytes, is transported to the liver and kidney where it reforms glucose, which again becomes available the circulation for oxidation in the tissues. This process is known as the Cori cycle, or the lactic acid cycle Ref: Harper 28th edition, chapter 20.